The biological indicator used in various autoclave machines for quality check is-
1. Clostridium tetani
2. Bacillus stereothermophilus
3. Bacillus pumilus
4. Bacillus subtilis

Correct answer: 2. Bacillus stereothermophilus

Explanation: METHOD Sterlization control Hot air oven Autoclave Filtration Ionizing radiation (cold sterilization) Ethylene oxide Plasma sterilization Clostridium tetani non toxigenic strain, B.subtilis sub sp. niger B.Stearothermophillus Brivundimonas dimunata B. Pumilus B.Globigi B.Stearothermophillus